cause miliary All of the following shadow on X-ray chest except:
1. Tuberculosis
2. Histoplasmosis
3. Coccidioidomycosis
4. Wegener's granulomatosis

Correct answer: 4. Wegener's granulomatosis

Explanation: Ans. Wegener's granulomatosis